Tangier's disease is characterized by:
1. Low or absence of HDL
2. Low LDL concentration
3. Raised chylomicrons
4. Deficiency of LPL

Correct answer: 1. Low or absence of HDL

Explanation: Tangier's disease/ Familial alpha-lipoprotein deficiency/Hypo alpha lipoproteinemia. Defect in ABC-A 1 receptors which helps in giving cholesterol from peripheral tissue to HDL. HDL is not properly formed- HDL | Other lipoproteins are normal. | Apo A1. Cholesterol accumulates in reticulo endothelial system C/F : Peripheral neuropathy, Hepatosplenomegaly Large orange/ yellow tonsils.